Which of the following contributes to the nerve supply of the kidney?
1. Inferior hypogastric plexus
2. Coeliac plexus
3. Inferior mesenteric plexus
4. Superior hypogastric plexus

Correct answer: 2. Coeliac plexus

Explanation: Coeliac plexus contributes to the nerve supply of the kidney. The following structures contribute to the nerve supply of the kidney: Coeliac ganglion and plexus Aorticorenal ganglion Lowest thoracic splanchnic nerve First lumbar splanchnic nerve Aortic plexus The rami from these structures form a dense network of autonomic plexus around the renal artery called the renal plexus. They control the blood flow between the cortex and medulla. Ref: Gray's Anatomy 41st edition Pgno: 1246